The inverse stretch reflex is due to
1. Trail fibre ending
2. Golgi tendon
3. Tail fiber ending
4. Muscle spindle

Correct answer: 2. Golgi tendon

Explanation: The receptor for the inverse stretch reflux is in the Golgi tendon organ.(Ref: Ganong's Review of medical physiology 23rd edition page no.162)